Which of the following is appropriate first-line medical therapy for hypertension with pheochromocytoma in pregnancy?
1. Calcium-channel blockers
2. b -Blockers
3. a-Blockers
4. Apresoline

Correct answer: 3. a-Blockers

Explanation: Immediate control of hypertension and pheochromocytoma symptoms with an alpha blocker such as phenoxybenzamine is imperative. The dose is 10 to 30 mg, two to four times daily. After alpha-blockade is achieved, beta -blockers may be given for tachycardia if necessary.